Difference between antemortem burns & postmortem burns vesicles, favouring antemortem burn vesicles is/are -a) Tissue beneath vesicle is dry, hard & yellowb) Protein & chlorides in vesicle are morec) Erythema is presentd) Fluid in the vesicle is scanty
1. a
2. c
3. bc
4. ad

Correct answer: 3. bc

Explanation: Blisters (vesicles) of antemortem burn:

True blisters
Contain protein, chloride, RBC & pus and
The base is inflamed and red (erythematus).

Blisters (vesicles) of postmortem burn:

False blisters
Contain air and thin, clear fluid, and
The base is hard, dry and yellow.